At which location along the basilar membrane are the highest-frequency sounds detected?
1. Nearest the oval window
2. Farthest from the oval window, near the helicotrema
3. Uniformly along the basilar membrane
4. At the midpoint of the membrane

Correct answer: 1. Nearest the oval window

Explanation: The basilar membraneis widest (0.42-0.65 mm) and least stiff at the apex of the cochlea, and narrowest (0.08-0.16 mm) and stiffest at the base (near the round and oval windows). High-frequency soundslocalize near the base of the cochlea, while low-frequency sounds localize near the apex. Ref otolaryngology dhingra 3/e p34